Antipsychotic drugs are -
1. Clomipramine
2. Carbamazepine
3. Sodium valproate
4. Chlorpromazine

Correct answer: 4. Chlorpromazine